Arrange the following enzymes of urea cycle in sequence: A. Arginase B. Arginosuccinate Synthetase C. Argininosuccinate Lyase D. Ornithine Transcarbamoylase
1. A - D - C-B
2. B - C - A- D
3. D - B - C- A
4. C - D - A- B

Correct answer: 3. D - B - C- A